True statement regarding first order kinetics is ?
1. Independent of plasma concentration
2. A constant proportion of plasma concentration is eliminated
3. T 1/2 increases with dose
4. Clearance decreases with dose

Correct answer: 2. A constant proportion of plasma concentration is eliminated

Explanation: Ans. is 'b' i.e., A constant proportion of plasma concentration is eleminated First Order Kinetics Constant fraction of drug is eliminated per unit time Rate of elimination is proportional to plasma concentration Clearance remains constant Half life remains constant Most of the drugs follow first order kinetics Zero Order Kinetics (Non linear Kinetics) Constant amount of the drug is eliminated per unit time. Rate of elimination is independent of plasma concentration Clearance is more at low concentrations and less at high concentrations Half life is less at low concentrations and more at high concentrations Very few drugs follow pure zero order kinetics e.g. alcohol Any drug at high concentration (when metabolic or elimination pathway is saturated) may show zero order kinetics